Smudge cell is seen in
1. Nodular sclerosis Hodgkin's lymphoma
2. Chronic lymphocytic leukemia
3. Lymphocyte predominant Hodgkin's lymphoma
4. Sezary syndrome

Correct answer: 2. Chronic lymphocytic leukemia

Explanation: Lymphohistiocytic cells or L-H cells or popcorn cells are seen in lymphocyte predominant Hodgkin's lymphoma.
These cells are CD 45, CD 20 and epithelial membrane antigen positive. Lacunar cells are seen in nodular sclerosis Hodgkin's disease. They are positive for CD15, CD30 and PAX 5.
Smudge cells are seen in CLL.
Sezary cells are seen in Sezary syndrome.